An example of metalloprotein is
1. Casein
2. tyrosinase
3. Gelatin
4. Salmine

Correct answer: 2. tyrosinase

Explanation: Metalloproteins: They contain metal ions. Examples are Hemoglobin (Iron), Cytochrome (Iron), Tyrosinase (Copper) and Carbonicanhydrase (Zinc).
Reference: Vasudevan 7th  ed, pg 43